The test used to diagnose Dubin .lohnson syndrome is-
1. Scrum transaminases
2. Bromsulphalein test (BSP)
3. Hippuratc test
4. Gamma glutamyl transferase level

Correct answer: 2. Bromsulphalein test (BSP)

Explanation: A prolonged BSP dye excretion test is diagnostic of Dubin Johnson syndrome BSP is a dye which is removed from circulation by the same mechanism as bilirubin. Reference Harsh mohan page no.593